The following are true regarding intermittent claudication except
1. Cramping pain typically in calf muscles
2. Occurs usually after similar degree of activity
3. Relieved by rest quickly
4. Affected by body position

Correct answer: 4. Affected by body position